False regarding Peutz Jeghers syndrome
1. Autosomal recessive
2. Presence of hamartomatous polyps
3. Presence of cutaneous pigmentation
4. Risk of developing breast, lung , ovarian cancer

Correct answer: 1. Autosomal recessive

Explanation: It is a autosomal dominant condition.
Other options are right.